Most common posterior mediastinal tumour is
1. Dermoid
2. Neurofibroma
3. Lipoma
4. Lymphoma

Correct answer: 2. Neurofibroma

Explanation: The most common tumour of posterior mediastinum is neurofibromas,which constitutes around 75% of the total.Other tumors include ganglioneuromas,aneurysm of descending aorta,lymph node mass. Reference:SRB's manual of surgery,5th edition,page no:1126.